Which of the following antimicrobial stops protein synthesis by inhibition of translocation?
1. Aminoglycosides
2. Tetracyclines
3. Macrolides
4. Chloramphenicol

Correct answer: 3. Macrolides

Explanation: Tetracycline - Binds reversibly to the 30S subunit of the bacterial ribosome, blocking the binding of aminoacyl-tRNA to the acceptor site on the m-RNA ribosome complex. Chloramphenicol - It binds reversibly to the 50S subunit of the bacterial ribosome and inhibits peptide bond formation. Macrolides - Inhibit the translocation Aminoglycosides - protein synthesis is inhibited in three ways: 1. Cause misreading of mRNA-affect permeability. 2. interference with the initiation complex of peptide formation 3.Breakup of polysomes into nonfunctional monosomes.